False about Fanconi anaemia
1. Autosomal recessive disorder
2. Caused by defects in DNA repair
3. Tall stature
4. Hypoplasia of kidney

Correct answer: 3. Tall stature

Explanation: Fanconi anaemia  - short stature.